Calcification of meniscal cartilage is a feature of
1. Gaucher's disease
2. Pseudogout
3. Achondroplasia
4. Hyperparathyroidism

Correct answer: 2. Pseudogout

Explanation: Notable sites of chondrocalcinosis in pseudogout include: * knee: medial meniscus and patellofemoral joint * wrist: triangular fibrocartilage complex and lunotriquetral ligaments * pubic symphysis * spine - intervertebral discs